Mechanism of action trimetazidine is ?
1. Fatty acid synthase inhibitor
2. Na channel inhibitor
3. K channel opener
4. Inhibiting mitochondrial LC3-KAT

Correct answer: 4. Inhibiting mitochondrial LC3-KAT

Explanation: Ans. is'd'i.e.,Inhibiting mitochondrial LC3-KAT(Ref: KDTh/e p. 554)Trimetazidine:This antianginal drug acts by non hemodynamic mechanisms.The mechanism of action of trimetazidine is uncertain, but it may improve cellular tolerance to ischaemia by inhibiting mitochondrial long chain 3-ketoacyl-CoAthiolase (LC3-KAT) a key enzyme in fatty acid oxidation- thereby reducing fatty acid metabolism and increasing glucose metabolism in myocardium.